The most appropriate test to asssess the prevalence of tuberculosis infection in a community is -
1. Mass miniature radiotheraphy
2. Sputum examination
3. Tuberculin test
4. Clinical examination

Correct answer: 3. Tuberculin test

Explanation: Tuberculin test is the 'only way of estimating the prevalence of infection in a population. Positive reaction to the test : evidence of past or present infection by M.tuberculosis. Reference:Park's textbook of preventive and social medicine,K.Park,23rd edition,page no:185-186.